GBS in a child treatment -
1. IVIG
2. Ventilation
3. Plasmapharesis
4. All of above

Correct answer: 4. All of above

Explanation: Ans. is 'd' i.e., All of above Guillain-Barre syndrome o Auto immune disorder, o Leads to demvelination of nerve. o H/O preceding viral infection : Infectious mononucleosis (EB Virus): Measles, mumps, ECHO, coxsackie. o Campylobacter: Strongly associated with severe form acute motor axonal neuropathy (AMAN). Clinical feature o Symmetrical weakness of LMN type Ascending type, o Subjective sensory involvement. o Facial nerve palsy seen in 3 /4th of cases. o Involvement of autonomic nervous systems, (urinary retenstion, hypo or hypertension). Diagnosis o CSF - Albumino cytological dissociation (Protein is elevated in 80% of cases but cell count normal). Treatment o Self limited in majority of cases, o Intravenous immunoglobin shows good response, o Plasma pharesis - Removal of autoantibodies, o Assisted ventilation - If patient had respiratory muscle paralysis, o Physiotherapy.